Which of the following is not suggestive of obesity or overweight?
1. Quetelet's index of 26
2. Corpulence index of 1.4
3. Waist to hip ratio 0.86 in a male
4. Sum of skinfold thickness all for sites 50mm in a male

Correct answer: 3. Waist to hip ratio 0.86 in a male

Explanation: Quetelet's index of more than 25 is overweight. Corpulence should be ideally 1.2 or lesser. Waist to hip ratio should be equal to or less than 1 in male and equal to or less than 0.85 in female. Sum of skinfold thickness from all 4 sites should be less than 40 mm in males or less than 50 mm in females. Ref: Park's Textbook of Preventive Medicine, 20th Edition, Page 348.